The neurotransmitter agent that is normally released in the SA node of the heart in response to increased blood pressure is:
1. Acetylcholine
2. Dopamine
3. Adrenaline
4. Noradrenaline

Correct answer: 1. Acetylcholine